Which is best for diagnosis of primary herpes simplex infection?
1. Smear stained with Giemsa stain
2. Smear stained with Wrist's stain
3. Flurorescent staining of cytology smear
4. Routine cytology

Correct answer: 3. Flurorescent staining of cytology smear